The process wherein two or more chemically different monomers, each with some desirable property, can be combined to yield specific physical properties of a polymer is known as
1. Step-growth polymerization
2. Addition polymerization
3. Condensation polymerization
4. Copolymerization

Correct answer: 4. Copolymerization